Squamous cell carcinoma spreads commonly via -
1. Implantation
2. Hematogenous spread
3. Lymphatic spread
4. Trancoelomic spread

Correct answer: 3. Lymphatic spread